An unconcious patient of head injury comes in casualty. On examination shows raised intracranial pressure. Which anesthetic agent is contraindicated:
1. Thiopentone
2. Propofol
3. Ketamine
4. Etomidate

Correct answer: 3. Ketamine

Explanation: C i.e. Ketamine Ketamine causes increase in all pressure i.e. intracranial, intraocular, intragastric and intravascular (Blood) pressure. So it is not used in raised ICT/IOT & Hypertension as it may increase the pressure to morbid levels.